Which statement best describes the inferior mesenteric artery
1. It arises from the aorta at the level of the transpyloric plane
2. It supplies the mucus membrane of the gut as far as the mid-rectum
3. It gives off a left colic branch
4. It crosses the pelvic brim at the point of bifurcation of the right common iliac vessels

Correct answer: 3. It gives off a left colic branch

Explanation: The left colic artery is a branch of inferior mesenteric artery. It has ascending and descending branches. In a sigmoid colectomy the ascending branch is preserved to maintain the blood supply of the proximal descending colon. The inferior mesenteric artery arises from the aorta at the level of the subcostal plane, 3-4 cm above the aortic bifurcation. This is at the level of L3 and approximately at the level of the umbilicus. The inferior mesenteric artery supplies the mucous membrane as far as the dentate line, which is found in the anus. This line represents a watershed between the superior rectal branch of the inferior mesenteric artery, and the middle and inferior rectal arteries which are derived from the internal iliac artery. The inferior mesenteric artery enters the pelvis by crossing the pelvic brim at the level of bifurcation of the left common iliac artery.